Number of holes in mosquito net (per sq. inch)-
1. 50
2. 150
3. 100
4. 200

Correct answer: 2. 150

Explanation: Ans. is 'b' i.e., 150 Mosquito net It offers protection against mostquito bite during sleep. The best pattern is the rectangular net. The size of the openings in the net is of utmost importance, the size should not exceed 0.0475 inch in any diameter. The number of holes in one square inch is usually 150.